Steady state plasma concentration obtained after a dosage regimen depends on
1. Duration of action of the drug
2. Dosing rate
3. Half life of a drug
4. Dosage interval

Correct answer: 2. Dosing rate

Explanation: Factors on which steady state depends:* Half life of drug, it is obtained after 4-5 half lives.* Frequency of administration i.e. more frequently we give, lesser is the variation between peak and trough at steady state.* Dosing rate i.e. more the dosing rate , more will be the concentration of drug in plasma. Note: Read the question carefully. If the question is asked, time to reach steady state plasma concentration depends upon?, then answer would he half life. But if they ask how much plasma concentration is obtained at steady state, it depends upon dosing rate.